All of the following condition are associated with granulomatous pathology, except -
1. Wegener's granulomatosis (WG)
2. Takayasu arteritis (TA)
3. Polyarteritis nodosa (Classic PAN)
4. Giant cell arteritis (GCA)

Correct answer: 3. Polyarteritis nodosa (Classic PAN)

Explanation: The hepatitis B surface antigen is present in 25% of patients with Polyarteritis Nodosa.
Hepatitis B antibody is present in patients with essential mixed cryoglobinuria and rarely in patients with poly arteritis nodosa.